Before the onset of puberty, the GnRH neurons are under the inhibitory control of :
1. Glycine
2. Glutamate
3. Gamma amino butyric acid (GABA)
4. Beta-endorphin

Correct answer: 3. Gamma amino butyric acid (GABA)

Explanation: C i.e. Gamma amino butyric acidGn RH neurosecretion has been shown to be under the control of many neurotransmitter & neuropeptides:- GABA - exerts an inhibitory action on GnRH secretion before onset of pubertyQ.- Glutamate - has an excitatory effectQ & whose levels increase at the onset of pubertyQ.Gama amino butyric acid (GABA)Q appears to be an inhibitory neurotransmitter responsible for restricting LHRH release before onset of puberty in female rhesus monkey.Recent studies suggest that during prepubertal period an inhibitory neuronal system suppresses LHRH release & that during the subsequent maturation of hypothalamus this prepubertal inhibition is removed allowing the adult pattern of pulsatile LHRH release. (Endocrine review by E. tersawa & D. Fernandez)